Destruction of anterior cerebellum in a decerebrate animal leads to
1. No effect on rigidity
2. Increased flexor muscle tone
3. Increased rigidity alpha motor neurons
4. Decrease in rigidity

Correct answer: 3. Increased rigidity alpha motor neurons

Explanation: impaired coordination in the torso or arms and legs frequent stumbling an unsteady gait uncontrolled or repetitive eye movements trouble eating and performing other fine motor tasks slurred speech vocal changes headaches dizziness Ref : guyton and hall textbook of medical physiology 12 edition page number:781,782,783